Cupping of optic disc is seen in:
1. Trachoma
2. Open angle glaucoma
3. Retinitis pigmentosa
4. Retinoblastoma

Correct answer: 2. Open angle glaucoma

Explanation: Ans. B i.e. Open angle glaucoma